Investigation of choice in Hirschsprung's disease is
1. Barium swallow
2. CECT
3. Barium enema
4. Rectal biopsy

Correct answer: 4. Rectal biopsy

Explanation: Rectal biopsy is defn diagnosis. Affected part has no ganglions.